All are benefits of repeated phlebotomy in hemochromatosis, EXCEPT:
1. Improved control of diabetes
2. Decrease in skin pigmentation
3. Normalization of the liver enzymes
4. Reversal of testicular atrophy

Correct answer: 4. Reversal of testicular atrophy

Explanation: Reversal of testicular atrophy is generally not seen after multiple sittings of phlebotomy in hemochromatosis. Ref: Schiffs Disease of The Live, 11th Edition, Page 835